Synovial sarcoma cellular markers are
1. Cytokeratin
2. S-100
3. Vimenitin
4. All

Correct answer: 4. All

Explanation: Cytoplasmic structural proteins termed cytokeratins (CKs) have been described in normal human epithelium and a wide array of epithelial neoplasms.14 To date, 20 different CK subsets have been identified, and most recent studies have evaluated the usefulness of antibodies to specific CK subsets for determining the origin of a metastatic carcinoma. Antibodies to cytokeratins 7 and 19 are useful adjuncts for the separation of Monophasic synovial sarcoma from malignant peripheral nerve sheath tumor (MPNST). The majority of MSSs stain for one or both of these antigens, whereas most MPNSTs, including those that are EMA- or AEl/AE3-positive, do not express these cytokeratin subsets. S-100 protein in a spindle cell sarcoma is often considered evidence of a neurogenic tumor, it has become increasingly recognized that MSSs stain for this antigen in up to 40% of cases.1 In addition, only 50% to 60% of MPNSTs stain for S-100 protein,2 - 3 and usually only in a focal pattern.